Efficiency of pasteurization of milk is determined by the following method:
1. Methylene blue reduction test
2. Phosphatase test
3. Turbidity test
4. Resazurin test

Correct answer: 2. Phosphatase test

Explanation: hosphatase test is widely used to check the efficiency of pasteurization. The test is based on the fact that raw milk contains an enzyme called phosphatase which is destroyed on heating at a temperature which corresponds closely with the standard time and temperature required for pasteurization. Other tests of pasteurized milk are, Standard plate count Coliform count Ref: Park's textbook of Preventive and Social Medicine, 19th edition, Page 522.